Hyperlipidemia is caused by intake of ?
1. Calcium channel blockers
2. beta-blocker
3. Methyldopa
4. Reserpine

Correct answer: 2. beta-blocker

Explanation: Ans. is 'b' i.e., beta-Blocker Drugs causing hvperiglyceridemia ? o Estrogen o Furosemide o Bile acid - binding resin o HIV protease inhibitors. o beta-blockers o Glucocorticoids o Retinoic acid